Epidemic dropsy is characterised by all EXCEPT:
1. Disc-edema
2. Hard-exudates
3. Peri-retinal haemorrhage
4. Touous-retinal vessels

Correct answer: 2. Hard-exudates

Explanation: B i.e. Hard exudates